Walls of the CT scanner room are coated with -
1. Lead
2. Glass
3. Tungsten
4. Iron

Correct answer: 1. Lead

Explanation: Walls of the CT scanner room are coated with Lead